A 26-year-old male, Vikas presents to OPD complaining of hair loss and itching on scalp. Physical examination reveals moderate patchy hair loss from the cetral portion of scalp and the lesions have ring like configuration with central clearing. Which of the following drugs can be used to treat this patient's condition?
1. Local glucocorticoids
2. Progesterone
3. Finasteride
4. Terbinafine

Correct answer: 4. Terbinafine

Explanation: (Ref: Katzung 10/e p842) The diagnosis is Tinea capitis and terbinafine is used for the treatment. Male pattern baldness starts from anterior portion and scalp and are non-pruritic will family history. Tghe treatment of latter is finasteride.